All the following ribs articulate directly with sternum except
1. 2nd rib
2. 4th rib
3. 5th rib
4. 8th rib

Correct answer: 4. 8th rib

Explanation: The first 7 ribs which are connected through their cartilages to the sternum are called true ribs, or vertebrosternal ribs. The remaining five are false ribs. Out of these the cartilages of the eighth, ninth and tenth ribs are joined to the next higher cartilage and are known as vertebrochondral ribs. The anterior ends of the eleventh and twelfth ribs are free and are called floating ribs or vertebral ribs. Ref : B D Chaurasia's Human Anatomy, Seventh edition , volume 1 , pg. no. 204